The clinical manifestation of cauda equina lesion include the following except -
1. Urinary retention
2. Radicular pain
3. Dermatomal sensory loss
4. Extensor plantar reflexes

Correct answer: 4. Extensor plantar reflexes